Most common carcinoma after burns is:
1. Squamous cell carcinoma
2. Adenocarcinoma
3. Melanoma
4. Mucoid carcinoma

Correct answer: 1. Squamous cell carcinoma

Explanation: Squamous cell carcinoma is MC carcinoma in burns. SCC commonly occurs in long standing ( Marjolin's ulcer) , old scar or keloid. Both Marjolin's ulcer & keloid are complications that arise after burns